shared psychotic disorder
1. falret
2. Jacob Kasanin
3. Benedict Morel
4. Kurt schneider

Correct answer: 1. falret

Explanation: * Shared psychotic disorder o Induced psychotic disorder o Falret o Patient who has a psychotic symptom passes the delusion to a new person o The new person is dependent on the person harboring the psychotic symptoms o The new person may be intellectually impaired or have subnormal intelligence o Treatment of choice is the SEPERATION of the patient from the person who is inducing the delusion o Low dose antipsychotics may help Ref.Kaplon and Sadock, Synopsis of Psychiatry, 11 th edition, Pg.no.333